Which of the following comes under high risk category for screening GDM?
1. Age < 25years
2. Weight normal before pregnancy
3. Strong family history of type 2 diabetes
4. No history of abnormal glucose metabolism

Correct answer: 3. Strong family history of type 2 diabetes

Explanation: Risk-based recommended screening strategy for detecting GDMLow-RiskHigh risk Member of an ethnic group with a low prevalence of GDMSevere obesityNo known diabetes in first degree relativesStrong family history of type 2 diabetesAge < 25 yearsPrevious history of GDM, impaired glucose metabolism, or glucosuriaWeight normal before pregnancyWeight normal at bihNo history of abnormal glucose metabolismNo history of poor obstetrical outcome(Ref: William's Obstetrics; 25th edition)